Tubular breathing is seen in
1. Pleural effusion
2. Consolidation
3. Pleurisy
4. TB cavity

Correct answer: 2. Consolidation

Explanation: Tubular or bronchial breath sounds is seen in lobar pneumonia or consolidation. Normally the breath sounds heard over the chest is vesicular. Reference : Davidson, 23rd Edition, page no :547.